Most common genetic mutation in Ca pancreas
1. KRAS
2. p-16
3. P53
4. COX - II

Correct answer: 1. KRAS

Explanation: MC genetic mutation in Ca pancreas/ Cholangiocarcinoma - KRAS > p-16 MC genetic mutation in Ca- GB - P53 > K-RAS MC genetic mutation in Ca stomach - P53 > COX - II